Increased LDH in Aqueous Humor suggest a diagnosis of-
1. Galactosemia
2. Retinoblastoma
3. Glaucoma
4. Gyrate atrophy

Correct answer: 2. Retinoblastoma

Explanation: *LDH of aqueous humor is often used as a marker for retinoblastoma. Ref: Khurana 7th/e p.314.